Cobalt – 60 is
1. Natural radioactive source
2. Natural radioactive material
3. Artificial radioactive source
4. Artificial stable substance

Correct answer: 3. Artificial radioactive source